The predominant constituent of the pale yellow gall stones in the gall bladder is
1. Mucin glycoprotein
2. Calcium carbonate
3. Cholesterol
4. Calcium phosphate

Correct answer: 3. Cholesterol

Explanation: The predominant constituent of pale yellow gallbladder stone is cholesterol.Altered levels of cholestrol and bile salts in bile reduces the Micelle concentration in bile leading to precipitation of insoluble cholesterol,forming gallstones. Calcium phosphate & bicarbonate are important components of black pigment stones.Cholestrol component is less than 30%.Mucin A and Mucin C5 secreted by biliary glands may be the etiology. Reference:SRB's short practise of surgery.5th edition,page no:640,641.